Topical immunomodulator used for the treatment of genital was is -
1. Imiquimod
2. Podophylline
3. Interferon
4. Acyclovir

Correct answer: 1. Imiquimod

Explanation: Ans. is 'a' i.e., Imiquimod o Imiquimod is an immune response modifier shown to be effective in the topical treatment of external genital and perianal was (i.e. condyloma acuminatum).